The graph showing relationship between cervical dilatation and duration of labour is :
1. Partogram
2. Cervicograph
3. Growth curve
4. Dilatation chart

Correct answer: 2. Cervicograph

Explanation: Cervicograph